Human development index include all EXCEPT
1. Life expectancy at birth
2. GDP per capita
3. Adult literacy rate
4. Life expectancy at one year age

Correct answer: 4. Life expectancy at one year age

Explanation: (Life expectancy at one year) (16-Park 20th)HUMAN DEVELOPMENT INDEX-INDICATORSPHYSICAL QUALITY OF LIFE1. Longevity (Life expectancy at birth)2. Knowledge (Adult literary rate and mean years of school)3. Income (GDP per capita in purchasing power parity in US dollers)1. Infant mortality rate2. Life expectancy at age one3. Literacy* HDI - value ranges between O to 1* Norway and Australia are at maximum human development category* India comes in the medium human development categoryHUMAN POVERTY INDEX - three basic dimensions1. A long and healthy life - Probability at birth of not surviving to age 402. Knowledge - Adult literacy rate3. A decent standard of living(i) Percentage of population not using an improved water source(ii) Percentage of children under weight for age* The latest WHO protocol for classification and measurement of disability is - ICF (International classification of functioning)* Components of IDEAS (Indian Disability Evaluation and Assessment Scale (IDEAS))(i) Self care - body hygiene(ii) Interpersonal activities (social relationship)(iii) Communication and understanding(iv) Work - Includes three areas- Employment / Housework / Education (school / college)Disabilities are Act (1995)* Blindness* Leprosy cured* Intellectual disability* Low vision* Hearing impairment* Mental illness** * Locomotor disability